Argus 2 implants have been experimentally tried in:
1. Failed penetrating keratoplasty
2. Retinitis pigmentosa
3. Advanced Glaucoma
4. Optic atrophy

Correct answer: 2. Retinitis pigmentosa

Explanation: Argus 2 retinal implants have been tried in Retinitis pigmentosa patients. Treatment modalities for Retinitis Pigmentosa Crisp Car technique Low vision aids Bionic eye Argus 2 retinal implant High dose vitamin A are the modalities tested